Mania is a -
1. Mood disorder
2. Psychological disorders
3. Obsessive disorder
4. Neurotic disorder

Correct answer: 1. Mood disorder